Subcortical dementia is seen in all except
1. Parkinsonism
2. Alzheimer's disease
3. Wilson's disease
4. Huntingtons chorea

Correct answer: 2. Alzheimer's disease

Explanation: Cortical dementia, ex: Alzheimer's disease, Pick's disease. Site of lesion is Cortex(frontal & temporoparieto-occipital association areas, & hippocampus). Subcortical dementia, ex: Huntington's chorea, Parkinson's disease, progressive supranuclear palsy, Wilson's disease. Site of lesion is subcortical grey matter(thalamus, basal ganglia, & rostral brain stem). Reference: A short textbook of Psychiatry by Niraj Ahuja, 7th edition, page 24.